In a diagnosed lepromatous leprosy patient, the treatment was started. After intake to drug skin lesions and fever develop within few days. Which type of hypersensitivity reaction leads to this manifestation?
1. Type 4
2. Type 3
3. Type 2
4. Type 1

Correct answer: 2. Type 3

Explanation: After intake of drug skin lesions and fever develop, means when you kill organism there is production of cytokines by the immune system. Cytokine responsible for inflammatory manifestation i.e. Type II lepra reaction / erythema nodosum leprosum. Two types of lepra reaction: Type I lepra Type II lepra is seen after drug intake i.e. drug is killing the bacteria. Pathology: Type III Hypersensitivity reaction Type II lepra reaction Type IV Hypersensitivity reaction Type 1 lepra reaction